Which of the following is enrichment media for Vibrio Cholera?
1. Venkatraman-Ramakrishnan medium
2. Cary-Blair medium
3. Autoclaved sea water
4. Alkaline peptone water

Correct answer: 4. Alkaline peptone water

Explanation: A number of special media have been employed for the cultivation of Vibrio cholera. They may be classified as followsHolding or transport media - Venkatraman-Ramakrishnan medium , Cary-Blair medium, Autoclaved sea waterEnrichment media - Alkaline peptone water, Monsur's taurocholate tellurite (both can be good for transport also)Plating media - Alkaline bile salt agar, Monsur's gelatin taurocholate trypticase tellurite agar medium, Thiosulfate-citrate-bile salts-sucrose medium (TCBS)Ananthanarayana 7e 306